Chicken fat clot is:
1. Postmortem clot
2. Thrombus
3. Infarct
4. All

Correct answer: 1. Postmortem clot